Anxiety is:
1. Neurosis
2. Psychosis
3. Personality disorder
4. Phobic disorder

Correct answer: 1. Neurosis

Explanation: Ans. Neurosis